The length of esophagus in adult is ?
1. 10cm
2. 15cm
3. 20 cm
4. 25 cm

Correct answer: 4. 25 cm

Explanation: EsophagusIt is a narrow muscular tube measuring 25 cm long connecting pharynx with stomach.It begins as a continuation of laryngopharynx at the level of lower border of cricoid cartilage at the level of C6 vertebrae and passes through the diaphragm at the level of Tio through esophagial hitus of diaphragm.It ends at T11 level by opening into cardiac orifice of stomach.Oesophagus does not have straight course rather it presents anteroposterior curvatures.It is lined by stratified squamous nonkeratinized epithelium.Esophagus is divided into three parts (i) Cervical part (4 cm), (ii) Thoracic part (20 cm), and (iii) abdominal part (1-2 cm).